C-ANCA associated with -
1. Wegener's granulomatosis
2. Microscopic polyangitis
3. Churg straws syndrome
4. PAN

Correct answer: 1. Wegener's granulomatosis